Marginal leakage due to temperature changes commonly seen in
1. Amalgam alloy
2. Unfilled resin
3. filled resin
4. Gold alloy

Correct answer: 2. Unfilled resin